Which is most common site for iatrogenic esophageal perforation?
1. Abdominal portion
2. Cervical portion
3. Above arch of aorta
4. Below arch of aorta

Correct answer: 2. Cervical portion

Explanation: Esophageal perforation Iatrogenic Spontaneous Most common type Caused by endoscopy MC site is cervical esophagus (cricopharyngeal area) Esophageal rupture after vomiting MC site: left posterolateral side of the distal esophagus